Malignant tumor of striated muscle is known as:
1. Leiomyosarcoma
2. Rhabdomyosarcoma
3. Rhabdomyoma
4. Leiomyoma

Correct answer: 2. Rhabdomyosarcoma